Tooth whitening strip is:
1. H2O2
2. HF
3. Carbamide peroxide
4. Sodium perborate

Correct answer: 1. H2O2

Explanation: Hydrogen peroxide used in dentistry as a whitening agent ranges in concentration between 5 and 35%.
Ref :Grossman’s endodontics,13th edition, pg no:504